Which of the following parameters is not used for risk assessment and need to start anticoagulation in a patient of atrial fibrillation?
1. Age
2. Heart rate
3. Gender
4. Vascular disease

Correct answer: 2. Heart rate

Explanation: Heart rate is not used to decide for need for anticoagulation in case of Atrial fibrillation. Components of CHADS2-VASc score are: C Congestive heart failure 1 point H Hypertension 1 point A2 Age > 75 years 2 points D Diabetes 1 point S2 Stroke history 2 points V Vascular disease 1 point A Age > 65 years 1 point Sc Sex, category, female 1 point